Damage to C7 nerve root causes weakness of -
1. Elbow flexion
2. Supination
3. Finger abduction
4. Wrist flexion

Correct answer: 4. Wrist flexion